A 38 year old woman with peptic ulcer disease of the duodenum experiences severe abdominal pain. Which of the following nervous structures is most likely involved?
1. Greater splanchnic nerve
2. Ventral roots of the spinal nerve
3. Lower intercostal nerve
4. Lesser splanchnic nerve

Correct answer: 1. Greater splanchnic nerve

Explanation: Foregut: (Duodenum) sympathetic supply - greater splanchnic nerve which carries pain sensation as well parasympathetic - vagus. Midgut: sympathetic supply - lesser splanchnic nerve, parasympathetic - vagus. Hind gut: sympathetic- least splanchnic nerve, parasympathetic - pelvic splanchnic nerve.